Which of the following is the shortest acting competitive neuromuscular blocking agent?
1. Pancuronium
2. Doxacurium
3. Mivacurium
4. Vecuronium

Correct answer: 3. Mivacurium

Explanation: Mivacurium is the shortest acting non-depolarizing SMR because it is metabolized by an esterase. It can be used as an alternative to SCh for endotracheal intubation.